Most common reason for failure of rest seat in RPD is
1. Improper rest seat preparation
2. Contaminated metal
3. Distorted occlusal rest
4. Excessive occlusal forces

Correct answer: 1. Improper rest seat preparation